A child scratches his hand with pen.A red wheal appears which persists for 30 minutes. What would be the diagnosis?
1. Atopy
2. Contact urticaria
3. Pressure urticaria
4. Dermographism

Correct answer: 4. Dermographism

Explanation: Dermographism: type of physical urticaria induced by mechanical stimulus also called Skin writing rapid appearence of wheal flare at the site of brisk firm storke made with a firm objectLesions are often linear/ assume the shape of eliciting stimulus.Local erythema followed by edema.Most common physical urticaria seen in young adults sometimes symptomatic pruritus is present the onset of lesiona IADVL textbook of dermatology, cutaneous vascular responses, page 661